In primary immune deficiency, the following plasma protein fraction is reduced -
1. alpha-1 globulin
2. Alpha 2 globulin
3. Beta globulin
4. Gamma-globulin

Correct answer: 4. Gamma-globulin

Explanation: Hypogammaglobulinemia is characterized by a decrease in the g component. It is seen in congenital immune deficiency syndromes or in association with diseases such as nephrotic syndrome, chronic lymphocytic leukemia, and corticosteroid treatment . Ref - Davidson 23rd edition pg 1063b